Drug implicated for prolongation of QT interval in a premature baby is -
1. Domperidone
2. Metoclopramide
3. Cisapride
4. Omeprazole

Correct answer: 3. Cisapride

Explanation: Ans. is 'c' i.e., Cisapride Cisapride inhibits the delayed rectifying IC- channels in heart and can cause prolongation of QT interval. o Drugs inhibiting CYP3A4 enzyme can precipitate Torsaes DePointes, Caused by cisapride eg; clarithromycin, erythromycin, cyclosporine, fluconazole, itraconazole, ketoconazole, Nefazodone, Ritonavir, Fluvoxamine.